Which of the following type of leukemia is associated with autoimmune haemolytic anemia?
1. ALL
2. AML
3. CLL
4. CML

Correct answer: 3. CLL

Explanation: Autoimmune hemolytic Anemia is frequently seen in patients with CLL treated with fludarabine or 2-chlorodeoxyadenosine (cladribine). Secondary Autoimmune Hemolytic Anemia is seen in diseases such as lymphoma, CLL, SLE, primary agammaglobulinemia or hyper-IgM immunodeficiency syndrome. In these diseases, warm-antibody autoimmune hemolytic anemia most likely arises through an underlying defect in immune regulation and also due to an aberrant immune response to self-antigen. Ref: Williams Hematology, 8th Edition, Chapter 53 ; Current Medical Diagnosis and Treatment, 2012, Chapter 13